A middle aged woman presented to the OPD with dull abdominal pain for 6 months. CT scan of pelvis showed a 7cm mass involving left ovary with irregular calcifications. The right fallopian tube & ovary are excised. What is the likely diagnosis?
1. Mucinous cystadenoma
2. Choriocarcinoma
3. Dysgerminoma
4. Mature cystic teratoma

Correct answer: 4. Mature cystic teratoma